Pre-Renal Azotemia is characterized by all of the following. Except :
1. Fractional Excretion of Na < 1%
2. Urinary osmolality > 500 mosm/kg
3. Urinary sodium concentration > 40 meq/1
4. Reversible with replacement fluids

Correct answer: 3. Urinary sodium concentration > 40 meq/1

Explanation: Answer is C (Urinary sodium concentration > 40 meq/l) Prerenal Azotemia (Prerenal ARF) is associated with a urinary sodium concentration < 20 meq/1. A urinary sodium concentration > 40 meq /1 suggests intrinsic type of A RF. Differentiating features between Pre-renal and Intrinsic ARF Prerenal Azotemia is the most common form of ARF and is caused by renal hypoperfusion either from generalized hypovolemia or from altered renal hemodynamics resulting in hypoperfusion By definition Renal parenchymal tissue is not damaged in prerenal ARF and prerenal ARF is rapidly reversible upon correction of the primary hemodynamic abnormality Analysis of urine and blood biochemistry provides several useful 'Renal failure Indices' to distinguish prerenal ARF from intrinsic ARF (Ischemic /Nephrotoxic ARF)